All are preferred sites of insulin administration except?
1. Buttocks
2. Thigh
3. Around the umbilicus
4. Upper arm

Correct answer: 3. Around the umbilicus

Explanation: Insulin can be administered over any part of body covered by loose skin. Therefore it can be administered over abdomen except 2 inches around the abdomen.